A child can wave "bye-bye" by what age:
1. 6 months
2. 9 months
3. 12 months
4. 18 months

Correct answer: 2. 9 months

Explanation: Ans. B. 9 monthsKey social and adaptive milestones2 months Social smile3 months Recognizes mother6 months:- Recognizes strangers9 months:- Waves "bye-bye"